Shivering" is observed in the early part of postoperative period due to
1. Chloroform
2. Halothane
3. Trichloroethylene
4. Ether

Correct answer: 2. Halothane

Explanation: Postoperative shivering (halothane shakes) and hypothermia is maximum with halothane among inhalational anesthetics. It can be used to start or maintain anaesthesia. One of its benefits is that it does not increase the production of saliva, which can be particularly useful in those who are difficult to intubate